Weakest portion of Dermo- epidermal junction is
1. Stratum Basale
2. Lamina Lucida
3. Lamina Densa
4. Lamina Fibroreticularis

Correct answer: 2. Lamina Lucida

Explanation: LAMINA LUCIDA * Electron-lucent zone under hemidesmosome on EM; weakest link of BMZ (Basement membrane zone). * Comprised of anchoring filaments (laminin-332), laminin-1, fibronectin, nidogen (entactin), uncein and portion of BPAG2. Anchoring Filaments :- * Delicate filaments emanating perpendicularly from HD(hemi-desmosomes) which stretch from plasma membrane to lamina densa; product of basal keratinocytes; smaller than anchoring fibrils * Laminin-332: also known epiligrin (truncated laminin), laminin-5, kalinin, and nicein; glycoprotein serving as major component of anchoring filaments; major attachment factor for keratinocytes and binds a6b4 integrin at hemidesmosome . Ref:- Sima Jain; pg num:- 7